Placental ALP is used as tumor marker of
1. Seminoma
2. Choricarcinoma
3. Teratoma
4. Lymphoma

Correct answer: 1. Seminoma

Explanation: Ans a: (Ref: Robbins 7th edition 1041-42)Testicular tumorsTumor markers1 SeminomaPlacental ALP2 Embryonal carcinomahC'GAFP3 Yolk sac tumor (endodermal sinus tumor)AFP, Alpha 1 AT4 ChoriocarcinomahCGSeminomaMost common type germ cell tumor of testis(50%)Female counterpart is dysgerminoma. Tumor is positive for placental ALP & negative for AFP.Spermocytic seminoma is a morphologic variant that tend to occur in old people.